Decompression of endolymphatic sac is the treatment for
1. Menier's disease
2. BPPV
3. Labyrinthitis
4. Otosclerosis

Correct answer: 1. Menier's disease

Explanation: (A) (Meniere's disease) (104- Dhingra 6th)Surgical Treatment of Meniere's Disease1. Conservative procedures2. Destructive procedures3. IntermittentA. Decompression of Endolymphatic sacB. Endolymphatic shunt operationC. Sacculotomy (fick's operation)D. Section of vestibular nerveE. Ultrasonic destruction of vestibular labyrinthLabyrinthectomyLow pressure pulse therapy (Meniett device therapy)Meniere's Disease TreatmentA. GENERAL MEASURESB. MANAGEMENT OF ACUTE ATTACK1. Reasurance2. Cessation of smoking3. Low salt diet4. Avoid excessive intake of water5. Avoid over- indulgence in coffee, tea and alcohol6. Avoid stress and bring a change in life cycle7. Avoid activities requiring good body balance1. Reassurance - to allay worry and anxiety2. Bed rest with head supported on pillows3. Vestibular sedatives to relieve vertigo* Dimenhydrinate (Dramamine)* Promethazine theoclate (Avomine)* Prochlorperazine (stemetil)* Diazepam given intravenously* Atropine4. VasodilatorsA. Inhalation of carbogen (5% C02 with 95% O2)B. Histamine drip - Histamine diphosphate 2.75 mg dissolved in 500 ml of glucoseC. MANAGEMENT OF CHRONIC PHASE1. Vestibular sedative- prochlorperazine2. Vasodilators- Nicotinic acid, Betahistine3. Diuretics - furosemides4. Propantheline bromide - alone or combination with vasodilators or vestibular sedatives5. Elimination of allergen- food or inhalant allergen6. Hormones - endocrinal disorders such as hypothyroidism- Medical treatment* Intratympanic Gentamicin therapy (chemical Labyrinthectomy)* MICRO WICK - made up of polyvinyl acetate